Which of the following laryngeal muscle arise 4th arch
1. Cricothyroid
2. Transverse arytenoids
3. Posterior cricoarytenoid
4. Lateral arytenoids

Correct answer: 1. Cricothyroid

Explanation: Ans. is 'a' i.e., CricothyroidAll intrinsic muscles of larynx are derived from 6th arch except cricothyroid which arises from 4th arch